Parents of a child with bronchiectasis may give a past history of:
1. Chickenpox
2. Mumps
3. Whooping cough
4. Typhoid

Correct answer: 3. Whooping cough

Explanation: Typical offending organisms that have been known to cause bronchiectasis include: Klebsiella species Staphylococcus aureus Mycobacterium tuberculosis Mycoplasma pneumonia Nontuberculous mycobacteria Measles virus Pertussis Influenza virus Herpes simplex virus Certain types of adenoviruses